Postpartum decidual secretions present are referred to as
1. Lochia
2. Bleeding per vaginum
3. Vasa previa
4. Decidua capsularis

Correct answer: 1. Lochia

Explanation: Lochia refers to vaginal discharge for the first few weeks following delivery. It consists of blood from the placental site along with necrotic decidua. For the first few days following delivery, it is red in color and is termed as lochia rubra. After 3-4days - lochia serosa. After 10th day - lochia alba(refer to pgno: 422 Sheila 2nd edition)